The term 'connectors' or the 'interdental contact area' refers to the
1. Contact point between the adjacent anterior teeth
2. Contact point and the area above and below the contact point between the adjacent teeth
3. Contact point between the adjacent posterior teeth
4. Embrasures incisal and gingival to the contact

Correct answer: 2. Contact point and the area above and below the contact point between the adjacent teeth